Fordyce's (spots) granules in oral cavity arise from:
1. Mucous glands
2. Sebaceous glands
3. Taste buds
4. Minor salivary glands

Correct answer: 2. Sebaceous glands

Explanation: Fordyce's spots are yellowish-white granules in the buccal mucosa and represent enlarged ectopic sebaceous glands. It is a developmental anomaly. There is no malignant potential.